Newman and Seabrook's operation is used for:
1. Repair of parotid fistula
2. For parotid calculi
3. For carcinoma of tongue
4. For treatment of recurrent chronic parotitis

Correct answer: 1. Repair of parotid fistula

Explanation: PAROTID FISTULA - Internal fistula open inside the mouth and doesn't give rise to symptoms - External fistula: Gland fistula or duct fistula Causes - Rupture of parotid abscess - Penetrating injury - Inadvertent incision during drainage of parotid abscess - After superficial parotidectomy Clinical Presentation - When the external fistula is connected to the gland, external opening is pinpoint, though discharge is present for several months usually closes spontaneously. - When external fistula is connected with major duct. There is outpouring of parotid secretion onto cheek during meals with exoriation of surrounding skin. Diagnosis: - Sialography or sialogram Treatment - Newman and seabrock's operation ( in cases of fistula with main duct, this operation reconstructs the duct)